Criteria for Hypoxic - Ischemic encephato pathy includes all except
1. APGAR score < 5 at 5 and 10 minutes
2. Umbilical arterial acidemia
3. Normal MR imaging after 24 hours of life
4. Multisystem involvement

Correct answer: 3. Normal MR imaging after 24 hours of life

Explanation: MR imaging between 24 and 96 hours is more sensitive for timing of peripartum cerebral injury.